Osteoclast has specific receptor for :
1. Parathyroid hormone.
2. Calcitionin.
3. Thyroxin.
4. Vit D3.

Correct answer: 2. Calcitionin.

Explanation: B i.e. CalcitoninCalcitonin exerts its Ca2+ lowering effect by inhibiting bone resorption. This action is direct and calcitonin inhibits the activity of osteoclase 2. It also increases Ca2+ excretion in urine.HormonesBone cells on which theirreceptors are presentCalcitoninOsteoclastQParathyroidOsteoblastQVitamin DOsteoblastQCalcitonin exerts its Ca2+ lowering effect by inhibiting bone resorption. This action is direct and calcitonin inhibits the activity of osteoclase 2. It also increases Ca2+ excretion in urine.